The mother of a one and a half year old child gives history of a white reflex from one eye for the past 1 month. On computed tomography scan of the orbit, there is calcification seen within the globe. The most likely diagnosis is –
1. Congenital cataract
2. Retinoblastoma
3. Endophthalmitis
4. Coats disease

Correct answer: 2. Retinoblastoma

Explanation: While pupillary reflex (leukocoria) with calcification in tumor mass is characteristic of retinoblastoma.